Which of the following drug is used for reversal of cerebral vasospasm and infarct following subarachnoid hemorrhage ?
1. Nimodipine
2. Amlodipine
3. Diltiazem
4. Verapamil

Correct answer: 1. Nimodipine